A 32-year-old man comes to physician complaining of excessive sleepiness for the past several months. He reports falling asleep while dealing with customers, had an almost accident when he fell asleep while driving The patient reports that he occasionally hears voices while falling asleep and finds himself "temporarily frozen" and unable to move on awakening.Which of the following is the most appropriate treatment for this patient?
1. Clonazepam
2. Continuous positive airway pressure
3. Melatonin
4. Modafinil

Correct answer: 4. Modafinil

Explanation: The above history is suggestive of narcolepsy as patient complains of: -Excessive daytime sleepiness -Hypnagogic hallucinations(on falling asleep) -Sleep paralysis * Hypocretin, also known as orexin, is released from the hypothalamus and regulates wakefulness and arousal. * Hypocretin-1 deficiency, measured cerebrospinal fluid (CSF), is now a part of DSM-5 diagnostic criteria for narcolepsy. * Hypocretin deficiency is considered to be less than 110 pg/ml in CSF. Treatment- Modafinil(DOC) Advise patient not to do any dangerous activity like driving and swimming as he might sleep in between and can harm him